All are cholinergic drugs except
1. Memantine
2. Tacrine
3. Rivastigmine
4. Donepezil

Correct answer: 1. Memantine

Explanation: Memantine acts on NMDA receptors .remaining all the drugs are indirectly acting cholinergicn drugs used in the treatment of alzhimers disease. Ref: KDT 6th ed pg 472,473